For air blasting of ceramic veneer the particle size of alumina is used
1. 25 micrometer
2. 50 micrometer
3. 75 micrometer
4. 100 micrometer

Correct answer: 2. 50 micrometer